Soft tick transmits:
1. Relapsing fever
2. KFD
3. Tularemia
4. Indian tick typhus

Correct answer: 1. Relapsing fever

Explanation: Among the given options soft tick transmits relapsing fever while the KFD, tularemia and Indian tick typhus are transmitted by hard ticks. Ref: Park Textbook of Preventive and Social Medicine, 19th Edition, Pages 622-23, 634-35